Absolute contraindication of IUCD is :
1. Endometriosis
2. Iron deficiency anaemia
3. Dysmenorrhea
4. Pelvic tuberculosis

Correct answer: 4. Pelvic tuberculosis

Explanation: Ans. is d i.e. Pelvic tuberculosis